The following are radiological features of sigmoid volvulus except –
1. Inverted U shaped bowel loop
2. Liver overlap sign
3. Bird of prey
4. Cupola sign

Correct answer: 4. Cupola sign

Explanation: Radiological signs of sigmoid volvulus Liver overlap sign, Flank overlap sign, D10 overlap sign, Coffee bean sign, Bird - of - prey sign, Inverted U/V sign, Omega sign, Bent inner tube / Bent tyre tube.